Warm-antibody immunohemolytic anemia is seen in all except -
1. SLE
2. α- Methyladopa ingestion
3. Quinidine
4. Infectious mononucleosis

Correct answer: 4. Infectious mononucleosis